Which of the following is a bacteria taxonomically -a) Chlamydiab) Rickettsiac) Mycoplasmad) Prione) Bacteriophage
1. ab
2. abc
3. acd
4. bcd

Correct answer: 2. abc

Explanation: Bacteria

Bacteria are single celled microorganisms which can exist either as independent (free living) organisms or as parasites (dependent on other organisms for life).
There are typically 40 million bacterial cells in a gram of soil and 1 million bacterial cells in a millilitre of fresh water; in all, there are approximately five nonillion (5 x 1030 ) bacteria on earth.